True statement regarding myopia:
1. Parallel rays comes to focus posterior to the retina
2. Parallel rays comes to focus anterior to the retina
3. An abnormal shortness of the axial length of the eye
4. Newborns eye is myopic

Correct answer: 2. Parallel rays comes to focus anterior to the retina

Explanation: Ans. B: Parallel rays comes to focus anterior to the retina In people with myopia, the eyeball is too long or the cornea has too much curvature, so the light entering the eye is not focused correctly. Light rays of images focus in front of the retina, the light-sensitive part of the eye, rather than directly on the retina, causing blurred vision. Myopia runs in families and usually appears in childhood. Sometimes the condition plateaus, or sometimes it worsens with age.